During the uterine contraction of labour, the uterine blood flow :
1. Decreases
2. Increases
3. does not change
4. Temporarily cases

Correct answer: 1. Decreases

Explanation: Decreases